Which is MC genetic cause of intellectual disability -
1. Tuberous sclerosis
2. Cri-du-chat syndrome
3. Fragile-x-syndrome
4. Angel's syndrome

Correct answer: 3. Fragile-x-syndrome

Explanation: Ans. is 'c' i.e., Fragile-X-syndromeo Down's syndrome is the most common genetic cause of intellectual disability, and fragile-X is second to Down's.Also know o Most common inherited cause of intellectual disability is fragile-X-syndrome (because down's syndrome is congenital cause but not inherited).